Which of the following is not a feature of renovascular hypertension on IVU?
1. Delayed wash out of contrast
2. Ureteral kinking
3. Filling defect in calyces
4. Normal or small sized kidney

Correct answer: 3. Filling defect in calyces

Explanation: Ans. C. Filling defect in calycesFilling defect in calyces is not a feature of renovascular hypertension on IVU.IVU findings of Renal vascular hypertension are:* Delayed or absent nephrogram* Normal or atrophic kidney with atrophic deformity or abnormality* Ureteral kinking (in retroperitoneal fibrosis)* Rim Nephrogram